Factors that produce acute pancreatitis include all of the following except
1. Alcohol
2. Hypercalcemia of parathyroid origin
3. Gall stones
4. Haemochromatosis

Correct answer: 4. Haemochromatosis

Explanation: The two leading causes associated with acute pancreatitis are alcoholism and cholelithiasis, both of which are implicated in more than 80% of cases. Less common causes of acute pancreatitis include trauma, ischaemia, shock, extension of inflammation from the adjacent tissues, bloodborne bacterial infection, viral infections, certain drugs (e.g. thiazides, sulfonamides, oral contraceptives), hypothermia, hyperlipoproteinaemia and hypercalcaemia from hyperparathyroidism. Rarely, familial pancreatitis is encountered. In a proportion of cases of acute pancreatitis, the etiology remains unknown (idiopathic pancreatitis). TEXTBOOK OF PATHOLOGY 6TH EDITION HARSH MOHAN PAGE NO:646